Hypocalcemia is characterized by all of the following features, EXCEPT:
1. Numbness and tingling of circumoral region
2. Hyperactive tendon reflexes
3. Shortening of Q-T interval in ECG
4. Carpopedal spasm

Correct answer: 3. Shortening of Q-T interval in ECG

Explanation: Hypocalcemia is characterised by prolongation of Q-T interval in ECG. Moderate to severe hypocalcemia is associated with paresthesias, usually of the fingers, toes, and circumoral regions. On physical examination, a Chvostek's sign (twitching of the circumoral muscles in response to gentle tapping of the facial nerve just anterior to the ear) may be elicited, Carpal spasm may be induced by inflation of a blood pressure cuff to 20 mmHg above the patient's systolic blood pressure for 3 min (Trousseau's sign). Severe hypocalcemia can induce seizures, carpopedal spasm, bronchospasm, laryngospasm, and prolongation of the QT interval. Ref: Harrisons principles of internal medicine, 18th edition, Page: 362